Vitamin B12 is absorbed in -
1. Duodenum
2. Jejunum
3. Ileum
4. Colon

Correct answer: 3. Ileum

Explanation: Ans. is 'c' i.e., Ileumo Vitamin B12 (cyanocobalamine) is absorbed in the ileum. Intrinsic factor (of castle) is necessary for its absorption.o IF is secreted by oxyntic cells of stomach. In the lumen of the small intestine, IF forms a complex with vitamin B12o Vitamin B12-IF complex binds with a specific receptor on the surface of the epithelial cells of the ileum.o Vitamin B12 is transported into the enterocytes leaving behing IF at the brush border.